All of the following are true about xanthogranulomatous pyelonephritis except -
1. Proteus is most common organism
2. Seen only in infancy
3. It is a form of chronic pyelonephritis
4. Focal form is common in children

Correct answer: 2. Seen only in infancy

Explanation: Ans. is 'b' i.e., Seen only in infancy Xanthogranulomatous pyelonephritiso Xanthogranulomatous pyelonephritis is a form of chronic pyelonephritis characterised by destruction of renal parenchyma and the presence of granulomas, abscesses and collection of lipid laden foamy macrophages (foam cells).o Age of presentation ranges from infancy to 16 yearso Focal form being more common in children- Appear healthyo Those who affected diffusely, present with non-specific symptoms of chronic infection.i) Weight lossii) Feveriii) Lethargyiv) Failure to thriveo Proteus is the most common causative organism.